Sporicidal disinfectant is following except
1. Glutaraldehyde
2. Formaldehyde
3. Ethylene oxide
4. Benzalkonium chloride

Correct answer: 4. Benzalkonium chloride

Explanation: Ans. is `d' i.e., Benzalkonium chloride